The enquiry into the circumstances of death is called
1. Homicide enquiry
2. Inquest
3. Open verdict
4. Adjourned verdict

Correct answer: 2. Inquest

Explanation: INQUEST is an enquiry into the cause of death. there are 2 types of inquest policeS.174, Cr.P.C. and magistrate inquest S.176, Cr.P.C. REF: The Synopsis of Forensic Medicine and Toxicology 29th edition page no: 3.